Which of the following is true regrading hCG:
1. Half-life is around 7 days
2. Low levels are seen in hydatidiform mole
3. HCG can be detected as early as 8-9 days after conception
4. All of the above

Correct answer: 3. HCG can be detected as early as 8-9 days after conception

Explanation: Ans. C: HCG can be detected as early as 8-9 days after conception